Cerberus is associated with development of ?
1. Head
2. Lung
3. Liver
4. None of the above

Correct answer: 1. Head

Explanation: The cells in the hypoblast (endoderm) at the cephalic margin of the disc form the anterior visceral endoderm, which expresses head forming genes, including OTX2, LIM1, and HESX1 and the secreted factor Cerberus. Ref: Langman's embryology 11th edition Chapter 5.